BAL is contraindicated in
1. Arsenic
2. Lead
3. Mercury
4. Iron

Correct answer: 4. Iron

Explanation: BAL or Dimercaprol is a chelating agent used to treat poisoning by Arsenic, Lead, Mercury and Gold. 
It is contraindicated in Iron & Cadmium poisoning.